Passavant’s ridge is
1. Has a role of upper fibres of palatopharyngeus muscle inserted internal to superior constrictor.
2. prominence of mucous tissue is formed by the contraction of superior constrictor
3. Also known as Passavant's pad or palatopharyngeal ridge
4. All of the above

Correct answer: 4. All of the above